Which of the following is NOT to be given in cyclic mastalgia is:
1. Evening primrose oil
2. Danazol
3. Tamoxifen
4. Estrogen

Correct answer: 4. Estrogen

Explanation: Mastalgia is painful breast:
It can be: